The surgical treatment of uterine polyp includes
1. Removal by twisting
2. Removal by morcellation
3. Hysteroscopy
4. All of the above

Correct answer: 4. All of the above

Explanation: Uterine polyps are benign polyps comprising endometrial,fibroid ,adenomyomatous and placental polyps. Cervical polyps are mucous and fibroadenomatous polyp arise from the endocervix. Clinical features Menorrhagia or Metrorrhagia or postmenopausal bleeding If it protudes through the os ,it causes postcoital bleeding. MANAGEMENT D&C can scrape the polyp. Hysteroscopic removal of multiple polyps. REference: Textbook of Shaw, 15th edition, page 351